Constant feature associated with a radicular cyst
1. An impacted tooth
2. A missing tooth
3. A non-vital tooth
4. An anomalous tooth

Correct answer: 3. A non-vital tooth